Which of the following is a protein that is rich in basic amino acids and that functions in the packaging of DNA in chromosomes?
1. Histone
2. Collagen
3. Fibrinogen
4. Hyaluronic acid binding protein

Correct answer: 1. Histone

Explanation: Histones are proteins containing unusually higher concentration of basic aminoacids. It functions in the packaging of DNA in the chromosomes. Ref: Vasudevan, Biochemistry, 3rd Edition, Page 345